All belong to Picornaviruses except:
1. Enterovirus 70
2. Coxsackievirus
3. Rhinovirus
4. Chickenpox virus

Correct answer: 4. Chickenpox virus

Explanation: Ans. is 'd' i.e., Chickenpox virus(Ref: Ananthanarayan, 9th/e, p. 485 and 8th/e, p. 483, 484)* Chickenpox or varicella zoster belongs to herpesvirus group (HHV3).Other three are Picornaviruses.* REMEMBER - Chickenpox is not a poxvirus.* The first five groups contain important human pathogens. Rhinoviruses historically were placed in a separate genus but are now considered to be members of the enterovirus genus.